GERD is best diagnosed by?
1. 24 hour pH Monitoring
2. Upper GI endoscopy
3. Barium meal follow through
4. Barium Swallow

Correct answer: 1. 24 hour pH Monitoring

Explanation: Ans. (a) 24 hour pH monitoringRef.: Harrison 19th ed. / 261-2* Ambulatory 24-hour pH monitoring is the criterion standard in establishing a diagnosis of GERD, with a sensitivity of 96% and a specificity of 95%. It quantifies the gastroesophageal reflux and allows a correlation between the symptoms of reflux and the episodes of reflux.* However the diagnosis can be established on basis of Upper Gastrointestinal endoscopy with esophageal manometry.